Safe injection strategy will reduce the occurance of:
1. Hepatitis B
2. Hepatitis A
3. Typhoid
4. Hepatitis E

Correct answer: 1. Hepatitis B

Explanation: Ans: a (Hepatitis B) Ref: Park, 19 ed, p. 179Not much to explain. All the others--hepatitis E, typhoid, hepatitits A, are water-borne diseases.